Which of the following is called Chill of death
1. Rigor mortis
2. Livor mortis
3. Algor mortis
4. Postmoterm lividity

Correct answer: 3. Algor mortis

Explanation: Dead body is just like any other body and it has to lose its heat by conduction, convection and radiation. The heat is lost from the body surface and temperature gradient is developed between the core temperature and the surface temperature. Ref: FORENSIC MEDICINE AND TOXICOLOGY Dr. PC IGNATIUS THIRD EDITION PAGE 20